Microorganism used as weapon in biological terrorism is - rpt
1. Smallpox virus
2. Rabies virus
3. Influenzae virus
4. Human narvovirus

Correct answer: 1. Smallpox virus

Explanation: *small pox (variola) is a category A bioterrorism agent. REF:Baveja textbook of microbiology 4th edition.